Psychological autopsy is very helpful in
1. Homicidal deaths
2. Suicidal deaths
3. Motor vehicle accident deaths
4. Death due to cardiac arrest

Correct answer: 2. Suicidal deaths

Explanation: Refer the byte "Autopsy techniques and types".